False statement about common bile duct:
1. Lies in free margin of lesser omentum
2. Anterior to first part of duodenum
3. Right to hepatic artery
4. Anterior to portal vein

Correct answer: 2. Anterior to first part of duodenum

Explanation: B i.e. Anterior to first part of duodenum- The bile duct ends by piercing the medial wall of 2nd part of duodenumQ, 8-10 cm distal to pylorusQ usually after uniting with pancreatic duct to form hepaticopancreatic ampulla or ampulla of vater. Occasionally the pancreatic duct & bile duct open separately into the duodenum.Bile duct (upper third or supraduodenal part) passes downwards in the free margin of lesser omentum (hepatoduodenal ligament), behind the liver, anterior to the portal vein and to the right of hepatic arteryQ. Middle third (retro duodenal) part and lower third (infraduodenal - pancreatic) portion curves behind the first (1st) part of duodenum and head of pancreas respectively; whereas both parts run in front of (anterior to) IVC.- In nut shell, common bile duct lies posterior to liver, duodenum (1st part) & pancreas head (all organs); anterior to portal vein & IVC (both veins); and to the right of hepatic artery & gastro duodenal artery (both arteries).